Snow blindness is caused by :
1. Ultravoilet rays
2. Infrarads
3. Microwaves
4. Defect in mirror

Correct answer: 1. Ultravoilet rays

Explanation: A i.e. Ultra violet rays